Antenatal screening is done using the following `except :
1. Cord blood
2. Amniotic fluid
3. Chorionic villi
4. Peripheral lymphocytes

Correct answer: 4. Peripheral lymphocytes

Explanation: Peripheral lymphocytes